Most commonly used NSAIDs in Rheumatic fever ?
1. Indomethacin
2. Phenylbutazone
3. Aspirin
4. Rofecoxib

Correct answer: 3. Aspirin

Explanation: Ans. is 'c' i.e., Aspirin(Ref: Textbook of clinical pediatrics p' 729)Treatment of Rheumatic fever:Drug of choice for treatment of RF is penicillin.Erythromycin is the drug of choice in penicillin allergic patient.Suppressive therapy:Corticosteroids or aspirin are given for suppressive therapy. Corticosteroids are indicated in presence of carilitis with or without CHF.Aspirin is preferred in absence of carditis.Duration of therapy is 12 week.